Genital tubercle forms which part in females ?
1. Labia major
2. Labia minora
3. Clitoris
4. None

Correct answer: 3. Clitoris

Explanation: Ans. is 'c' i.e., Clitoris